Albinism results from the deficiency of
1. Homogentisic acid oxidase
2. Phenylalanine hydroxylase
3. Tyrosinase
4. Xanthine oxidase

Correct answer: 3. Tyrosinase

Explanation: Homogentisic acid oxidase: ALKAPTONURIA Phenylalanine hydroxylase: PHENYLKETONURIA Tyrosinase: ALBINISM Xanthine oxidase: URIC ACID SYNTHESIS ENZYME Ref : Biochemistry by U. Satyanarayana 3rd edition Pgno : 353